True about Wright's Spirometer is/are
1. Flow rates can be calculated
2. Gives false high values at low flow rates
3. Gives false low values at high flow rates
4. All

Correct answer: 1. Flow rates can be calculated

Explanation: A i.e. Flow rates can be calculated